Least likely to be Pre-leukemic condition is:
1. Paroxysmal nocturnal hemoglobinuria
2. Paroxysmal cold hemoglobinuria
3. Aplastic anemia
4. Myelodysplastic syndrome

Correct answer: 2. Paroxysmal cold hemoglobinuria

Explanation: Ans. (b) Paroxysmal cold hemoglobinuria(Ref: Wintrobe's 12th/pgchap 78)Paroxysmal nocturnal hemoglobinuria (PNH), Aplastic anemia & Myelodysplastic syndrome predispose to Leukemia